Charas is
1. Leaves of Cannabis Indica
2. Flowers of Cannabis Indica
3. Stem of Cannabis Indica
4. Resin exudate of Cannabis Indica

Correct answer: 4. Resin exudate of Cannabis Indica

Explanation: Resin exudates of cannabis Indica Ref ; Narayana reddy 33rd ed.